A quack gives a penicillin injection to a patient who dies due to it. Will the quack be relieved for his criminal responsibility by raising a plea of accident
1. Definitely
2. Likely to
3. Never
4. Deserves to be acquitted on the Strength of evidence

Correct answer: 3. Never

Explanation: C i.e. Never